According to the new guidelines, the body mass index cut off for overweight is -
1. >= 18
2. >= 25
3. >= 30
4. >= 35

Correct answer: 2. >= 25

Explanation: OBESITY Defined as abnormal growth of the adipose tissue due to an enlargement of fat cell size or an increase in fat cell number or both. Use of BMI to classify obesity:- Simple index of weight for height that is commonly used to classify underweight, overweight and obesity in adults. It is defined as weight in kg divided by the square of height in metres.( kg/m2). 1. Underweight:<18.5 2. Normal:18.5-24.99 3. Overweight :>=25 a) pre obese : 25-29.99 b)obese class 1:30-34.99 c)obese class 2:35-39.99 d)obese class 3:>40 BMI values are age independent and the same for both sexes. Assessment of obesity: 1. Ponderal Index: Height(cm) by cube root of weight(kg). 2. Brocca Index: Height(cm) minus 100. 3. Lorentz's formula 4. Corpulence index: Actual weight by desirable weight. Body mass index and Brocca index are widely used. {Reference: Park's textbook of community medicine 23 rd edition pg no. 399}